Brauslaw second life test used in which organ?
1. Lung
2. Liver
3. Stomach
4. Heart

Correct answer: 3. Stomach

Explanation: Ans. is 'c' i.e., Stomach Breslau's Second life test/ Stomach-bowel test This test is used to identify if dead foetus is still born or live born. Air is swallowed into the stomach during respiration. Thus if the stomach and intestines of the dead fetus float in water then they belong to live born fetus in whom respiration has taken place.